A 15-year-old vegetarian being treated for tuberculosis develops peripheral neuropathy. choose the one most appropriate vitamin or trace element replacement therapy to treat the described condition.
1. Vitamin A
2. Niacin (Vitamin B3)
3. Pyridoxine (Vitamin B6)
4. Folate (Vitamin B9)

Correct answer: 3. Pyridoxine (Vitamin B6)

Explanation: Treatment for tuberculosis usually includes the medication isoniazid (INH), and INH competitively inhibits pyridoxine utilization. In most children, this does not result in clinical manifestations, but in individuals with a poor dietary intake of pyridoxine (eg, teenagers, vegetarians, and exclusively breast-fed infants), numbness and tingling of the hands and feet may develop. Treatment is replacement of pyridoxine.